Hepatitis A is transmitted by -
1. Blood route
2. Inhalation
3. Feco-oral route
4. All

Correct answer: 3. Feco-oral route

Explanation: HAV transmission is by the fecal-oral route REF:
ANATHANARAYANAN MICROBIOLOGY NINTH EDITION PAGE.541